All are true about poliovirus, except-
1. Type I is responsible for most epidemics
2. Very difficult to eliminate type I
3. Type I responsible for vaccine paralytic poliomyelitis
4. Type I most commonly associated with paralysis

Correct answer: 3. Type I responsible for vaccine paralytic poliomyelitis

Explanation: Here are some important points about poliovirus strains* (Type I, II, III)
Most common cause of epidemics* → Type I
Most difficult to eradicate*→Type I (because vaccine response to it is not good)
Most common cause of vaccine Induced paralytic poliomyelitis*→ Type III (due to mutation)
Most commonly associated with paralysis* →Type I.